True about Minimal change disease is -
1. Appears normal under light microscopy but electron microscope shows loss of foot processes
2. Mesangial deposits
3. Tram Track appearance
4. Gross haematuria

Correct answer: 1. Appears normal under light microscopy but electron microscope shows loss of foot processes